Sections from a solid-cystic unilateral ovarian tumor in a 30-year old female show a tumor composed of diffuse sheets of small cells with doubtful nuclear grooving and scanty cytoplasm. No C -Exner bodies are seen. The ideal immunohistochemistry panel would include -
1. Vimentin, epithelial membrane antigen, inhibin, CD99
2. Desmin, S-100 protein, smooth muscle antigen, cytokeratin
3. Chromogranin, CD45, CD99, CD20
4. CD3, chromagranin, CD 45, synaptophysin

Correct answer: 1. Vimentin, epithelial membrane antigen, inhibin, CD99

Explanation: This patient is having granulosa cell tumor of the ovary which is characterized histologically by :

Diffuse sheets of round and oval cells     
Inconspicuous groove and folds in nuclei - coffee bean appearance
Scant cytoplasm


Granulosa cell tumor is positive for →

(i) Vimentin, (ii) Inhibin, (iii) CD99

Epithelial membrane antigen is positive in surface epithelial tumor.